Boundaries of anatomical snuffbox are all except
1. Abductor pollicis longus
2. Extensor pollicis longus
3. Extensor pollicis brevis
4. Extensor carpi ulnaris

Correct answer: 4. Extensor carpi ulnaris

Explanation: ANATOMICAL SNUFF BOX:-Is a triangular depression on the lateral side of the wrist. It is seen best when the thumb is extended. BOUNDARIES:1. Anterior-tendon of abductor pollicis longus, tendon of extensor pollicis brevis.2. Posterior-tendon of extensor pollicis longus.3. Floor-scaphoid and trapezium.4. Above by styloid process of the radius Contents:-1. Radial artery.2. Cephalic vein.3. Radial nerve. REF: BD Chaurasia 7th edition page no:136.